Stain which differentiates cryptococcus from other fungus
1. Gram stain
2. Acid fast stain
3. India ink
4. Gomori methamine silver stain

Correct answer: 3. India ink

Explanation: India ink or Nigrosine - demonstrate the capsule of Cryptococcus as a clear halo Gram stain - used to diff. b/w gram positive and gram negative Acid fast stain - used to stain Tuberculous bacteria, acid fastness is due to mycolic acid . Gomori methamine silver stain - used to stain Pneumocystis jiroveci